Best level of anaesthesia for LSCS:
1. T8
2. T10
3. T6
4. T4

Correct answer: 4. T4

Explanation: Anaesthesia can be regional or general.Regional is always better and can be spinal or epidural.If general anaesthesia is given as an emergency procedure to a women who is not fasting there is always the danger of aspiration of gastric contents and chemical pneumonitis (refer pgno:459 Sheila textbook of obstetrics 2 nd edition)